Sphincter and dilator pupillae muscles are derived embryologically from the:
1. Surface ectoderm
2. Mesoderm
3. Neuroectoderm
4. All of the above

Correct answer: 3. Neuroectoderm

Explanation: Ans. Neuroectoderm